Diagnostic criteria for blood stream infection from central venous catheter includes all except?
1. Colony count from catheter culture is 5 times more than peripheral blood culture
2. Blood culture form catheter shows colony formation at least 2 hours before the peripheral blood culture
3. Quantitative catheter tip culture showing >103 CFU/ catheter segment whereby the same organism is isolated from the catheter segment and a peripheral blood sample
4. Apparent source of blood stream infection present

Correct answer: 4. Apparent source of blood stream infection present

Explanation: Answer- D. Apparent source of blood stream infection presentIt is defined as the presence of bacteremia originating frorn an intravenous catheter.The most comlnon cause of nosocomial bacteremia.Laboratory diagnosis-CRBSI means a patient with an intravascular catheter has at least one positive blood culture obtained from a peripheralvein, clinical manifestations of infections.Long-term catheters-Semi-quantitative growth of 15 cfu/catheter segment of the same microbe from both the insertion site culture, and the catheter hub culture strongly suggests that the catheter is the source ofa bloodstream infection.